Stomach is supplied by ?
1. Coeliac trunk
2. Splenic artery
3. Gastroduodenal artery
4. All of the above

Correct answer: 4. All of the above

Explanation: Ans. is 'd' i.e., All of the above